Oxygen affinity decreases in
1. Hypoxia
2. Hypothermia
3. HbF
4. Increase in pH

Correct answer: 1. Hypoxia

Explanation: Factors that shift O2- Hb dissociation curve to right - ie. Decrease O2 affinity with Hb: |ed in H+ cone. (|pH, Bohr effect) |ed CO2 (|O2, Hypoxic condition) |ed in temperature. |ed DPG. Factors that shi O2-Hb dissocia on curve to the left side ie. increase the O2 affinity with Hb Just reverse of the right shift |in temperature (Hypothermia) |in pH (7.6) | HbF (fetal Hb) CO poisoning